A 29-year-old carpenter receives a traumatic laceration to her left arm. Which of the following is the most important factor that determines whether this wound will heal by primary or secondary intention?
1. Apposition of edges
2. Depth of wound
3. Metabolic status
4. Skin site affected

Correct answer: 1. Apposition of edges

Explanation: Primary intention:- Healing by it occurs in wounds with closely apposed edges and minimal tissue loss. Such a wound requires only minimal cell proliferation and neovascularization to heal, and the result is a small scar. Secondary intention:- Healing by it occurs in a gouged wound, in which the edges are far apart and in which there is substantial tissue loss. This wound requires wound contraction, extensive cell proliferation, and neovascularization (granulation tissue) to heal. Granulation tissue is eventually resorbed and replaced by a large scar that is functionally and esthetically unsatisfactory. - The other choices are important determinants of the outcome of wound healing, but not a deciding factor in primary and secondary intention healing. Diagnosis: Healing by primary intention